Courvoisier's law is related to -
1. Jaundice
2. Ureteric calculi
3. Portal hypertension
4. The length of skin flap in skin grafting

Correct answer: 1. Jaundice

Explanation: Ans. is 'a' i.e., Jaundice Courvoisier's law states that in the presence of an enlarged gall bladder which is nontender and accompanied with jaundice the cause is unlikely to be gallstones. This is because gall stones are formed over a longer period of time, and this result in a shrunken, fibrotic gall bladder which does not distend easily. In contrast, the gall bladder is more often enlarged in pathologies that cause obstruction of the biliary tree over a shorter period of time such as malignancy of bile duct, pancreas, leading to passive distention from backpressure.